Von gerke's disease is associated with
1. Branching enzyme
2. Debranching enzyme
3. Phosphorylase
4. Glucose 6 phosphatase

Correct answer: 4. Glucose 6 phosphatase